Magendie foramen or the median aperture drains CSF from which of the following structures to the cisterna magna?
1. Lateral ventricle
2. 3rd ventricle
3. 4th ventricle
4. Interpeduncular fossa

Correct answer: 3. 4th ventricle

Explanation: The median aperture ("Foramen of Magendie") drains CSF from the fourth ventricle into the cisterna magna. Cisterna magna occupies the interval between inferior surface of cerebellum and posterior aspect of medulla oblongata. The two lateral apertures (foramina of Luschka), one on the left and one on the right, are the primary routes for drainage of cerebrospinal fluid from the fourth ventricle into the cerebellopontine angle cistern. The foramen on axial images is posterior to the pons and anterior to the caudal cerebellum.